Dextrose is:
1. D (+) glucose
2. D (-) glucose
3. L (+) glucose
4. L (-) glucose

Correct answer: 1. D (+) glucose

Explanation: Option a - Dextrose is D(+) glucose Concept 'D' means structural isomer i.e. Enantiomer. Abundant form of carbohydrate is always D form. (+) or (d) means dextrorotatory. Glucose is always dextrorotatory (d) (+). The solution of glucose is known as DEXTROSE. Therefore, Dextrose is D (+) glucose